Corneal tattooing may be done with:
1. Gold chloride
2. Calcium chloride
3. Copper sulfate
4. Potassium permanganate

Correct answer: 1. Gold chloride

Explanation: Cosmetic tattoos (also known as 'permanent makeup'): They camouflage skin discolorations, such as birthmarks (hemangiomas) or scars, tattooing'hair follicles' into bald areas or corneal tattooing in perforating injury. India ink is the most commonly used dye for corneal tattooing. Two other methods exist: chemical dyeing with gold or platinum chloride and carbon impregnation.